All are true about Sjogren syndrome except -
1. Interstitial nephritis Subcutaneous fibrosis
2. Lack of tear
3. Xerostomia
4. More common in male

Correct answer: 4. More common in male

Explanation: Primary Sjogren's syndrome (PSS) is characterised by lymphocytic infiltration of salivary and lacrimal glands, leading to glandular fibrosis and exocrine failure. The typical age of onset is between 40 and 50, with a 9 : 1 female-to-male ratio. The disease may occur with other autoimmune diseases (secondary Sjogren's syndrome Ref Davidsons 23e p1038.